Which of the following is not a branch of facial artery?
1. Inferior nasal
2. Superior labial
3. Lateral nasal
4. Inferior labial

Correct answer: 1. Inferior nasal

Explanation: The anterior branches on the face are large and named.
They are branches of facial artery:

Inferior labial, to the lower lip,
Superior labial, to the upper lip and the anteroinferior part of the nasal septum, and
Lateral nasal, to the ala and dorsum of the nose. The posterior branches are small and unnamed.